A young patient presenting with massive hematemesis was found to have splenomegaly. In this case the most likely source of bleeding is:
1. Duodenal ulcer
2. Esophageal varices
3. Erosive mucosal disease
4. Gastric ulcer

Correct answer: 2. Esophageal varices

Explanation: Answer is B (Esophagus varices) 'Massive haematemesis in the background of splenomegaly suggests variceal bleed due to portal hypertension.'